Cherry red spot is seen in ?
1. Niemann - Pick's disease
2. Tay Sach's disease
3. Central retinal artery occlusion
4. All of the above

Correct answer: 4. All of the above

Explanation: Ans. is 'd i.e., All of the above Causes of cherry red spot GM2 gangliosidoses (Tay sachs & sandhoff) Hurler's syndrome GM1 gangliosidoses Cryoglobulinemia Niemann - Pick's disease Laber's congenital amaurosis Gaucher's disease Sialidosis (galactosialidosis) Metachromatic leukodystrophy Mucopolysacharidosis VII Central retinal artery occlusion (CRAO) Multiple sulfatase deficiency Trauma (Berlin's edema / commotio retinae) Poisoning :- Carbon mono-oxide, methanol Quinine and Dapsone Shprintzen-Goldberg syndrome Farber's disease Hallervorden Spatz disease Goldberg's disease Rarely in krabbe's disease